Which form of DNA is seen predominantly.
1. A
2. C
3. B
4. Z

Correct answer: 3. B

Explanation: Ans. is 'c' i.e. B form: Type of DNADNA can exist in several confirmation depending upon the base composition and under different physical conditions.These are :B- DNA (most common confirmation)A- DNAZ-DNA"Within the cells, most of the DNA is B - DNA although regions rich in guanine and cytosine base pairs may assume 2 - confirmation.A - DNA is not found under physiological condition. When B - DNA crystals are dried the long thin B - DNA molecules becomes short, stubby A-DNA".